Most effective method of treatment of Digitalis toxicity is?
1. Hemodialysis
2. Cardioversion
3. Digoxin Antibody
4. Atropine

Correct answer: 3. Digoxin Antibody

Explanation: ANSWER: (C) Digoxin AntibodyREF: Katzung 9th edition page 212, KDT 6th edition page 499"Severe Digitalis intoxication patients are best treated with insertion of a temporary cardiac pacemaker catheter and administration of Digitalis antibodies"Digitalis induced arrythmias are frequently made worse by cardioversion.Atropine is indicated only if there is A-V block.